Which of the following impression material is elastic:
1. Impression compound
2. Zinc oxide eugenol (ZOE) paste
3. Wax
4. Polyvinyl siloxane

Correct answer: 4. Polyvinyl siloxane